A 26 year old man comes to a hospital with fever, nausea, and itching in the perineal region. On examination by a urologist, he is diagnosed as having infected bulbourethral glands. Which of the following structures is affected by this infection
1. Transverse perinei superficialis
2. Deep Transverse Pereni Muscle
3. Bulbospongiosus
4. Levator ani

Correct answer: 2. Deep Transverse Pereni Muscle

Explanation: Bulbourethral glands present in deep perineal pouch and may involve contents there, including deep transverse perineal muscles.Transverse perinei superficialis and bulbospongiosus lie in superficial perineal pouch.Levator ani muscle lies quite deep, as the pelvic diaphragm. Things to remember: Deep perineal pouch (between perineal membrane below & superior fascia of urogenital diaphragm above). Contains: Membranous urethra Deep transverse perinei Sphincter urethrae (external sphincter) Bulbourethral glands (Cowper's). They drain into urethra below the perineal membrane Internal pudendal vessels Dorsal nerve of penis